Type of inheritance in Wilson's disease ?
1. Autosomal dominant
2. Autosomal recessive
3. X-linked dominant
4. X-linked recessive

Correct answer: 2. Autosomal recessive

Explanation: Ans. is 'b' i.e., Autosomal recessive Wilson's disease is an autosomal recessive disorder. Note o Most of the metabolic disorders are autosomal recessive except :- o Hunter syndrome, Fabiy's disease, ocular albinism, Lesch Nyhan syndrome --> X-linked recessive. q Familial hypercholesterolemia, acute intermittent porphyria Autosomal dominant